Hypersensitivity vasculitis is most commonly seen in:
1. Post capillary venules
2. Arterioles
3. Veins
4. Capillaries

Correct answer: 1. Post capillary venules

Explanation: . Post capillary venules